In lingual splaying of guardsman fracture with ORIF, which is the clinical feature?
1. Increased intercanthal distance
2. Increased interpupillary distance
3. Increased gonion gnathion distance
4. Increased interangular distance

Correct answer: 4. Increased interangular distance